Kinemyography is used for
1. Monitoring of exercise capacity
2. Monitoring of neuromuscular function
3. Monitoring of muscle spindle activity
4. Monitoring of CSF pressure changes

Correct answer: 2. Monitoring of neuromuscular function

Explanation: Kinomyography is used to moniter the neuromuscular functions In anesthesia neuromuscular blockage is monitered by this technique Ref:Guyton and Hall textbook of Medical physiology 12th edition,page number: 76,77,78